Hepatocelluar carcinoma is caused by
1. Fumonisins
2. Aflatoxin
3. Ochratoxin
4. Tricho thecenes

Correct answer: 2. Aflatoxin

Explanation: Aflatoxin produced by A. flavus can cause Hepatoma, Hepatitis, Reye's Syndrome, Hepatocellular carcinoma.